All are true about cyclosporine–A–EXCEPT :
1. Given orally as too toxic by intravenous route
2. Given in renal transplant
3. Selectively inhibit T-lymphocytes proliferation
4. It causes renal toxicity

Correct answer: 1. Given orally as too toxic by intravenous route